Which of the sulfonylureas is best choice in chronic kidney disease patients
1. Glimipride
2. Glibenclanide
3. Glipizide
4. Glyburide

Correct answer: 3. Glipizide

Explanation: Glipizide is the sulphoylurea which is the best and safest among the group for use in ckd patients Ref: Harrison page no 2265,